Pott's spine is commonest at which spine:
1. Thoracolumbar
2. Sacral
3. Cervical
4. Lumbosacral

Correct answer: 1. Thoracolumbar

Explanation: ANSWER: (A) ThoracolumbarREF: Apley 387-389, S M Tuli 3rd edition page 192Most common site of skeletal tuberculosis is spine followed by hip and knee SPINE (50%) > HIP > KNEECommonest spine involved in spine TB is Thoracolumbar/Dorsolumbar T12-L1 (Lower thoracic to be precise)LOWER THORACIC > LUMBAR > UPPER THORACICParaplegia due to pott s spine most commonly involves upper thoracic vertebrae as in upper thoracic vertebrae there is more acute kyphosis, spinal canal is narrow and spinal cord is relatively large.First symptom of TB spine is "Pain on movement"Commonest symptom of TB spine is "Back pain"